Cell which does not migrate from the base of the crypt to ends of villi is
1. enterocyte
2. endocrine cell
3. paneth cell
4. goblet cell

Correct answer: 3. paneth cell

Explanation: paneth cellThe small intestine contains large finger-like projections (villi). A one-cell thick epithelium overlies each villus. The epithelium regenerates itself thorughout life, and serves not only as the initial site for processing nutrients absorbed from the lumen, but also acts as a barrier to prevent microbes in the lumen from crossing into the body. The base of intestinal villi extends into the crypts of Lieberkiihn . Within the crypts multipotent crypt stern cells divide through life, giving rise to the epithelial lineages. Cells differentiate as they leave the crypt for the villus surface. Migration continues until cells are lost from the tip of a villus into the intestinal lumen. The exceptions are the intestinal Paneth cells which instead of migrating towards the tip migrates towards the base. It reside at the base of the crypts.Paneth cells are specialised secretory cells. They fortify the small intestine's defenses against bacteria by secreting lysozyme, an antibacterial enzyme.